Nephrotoxicity is seen with
1. Doxycycline
2. Aminoglycoside
3. Erythromycin
4. Riafampicin

Correct answer: 2. Aminoglycoside

Explanation: (B) Aminoglycoside DRUGS ASSOCIATED WITH ACUTE RENAL FAILUREPre-renalIntrinsicPost-renal* Diuretics* ACE inhibitors* ARBs* NSAIDs* Cyclosporine* Interferon* lnterleukin-2* Tacrolimus* Radiocontrast dye* Aminoglycosides* Foscarnet* Amphotericin B* Penicillins* Rifampin* Immunoglobulin* Methotrexate,* Lithium,* Tetraclines,* Phenytoin,* Cimetidine,* Cocaine,* Mannitol,* Statins,* Cidofovir,* Pentamidine,* Fluoroquinolones,* Allopurinol,* Cisplatin,* Cephalosporins,* Thiazide diuretics,* Ifosfamide,* Indinavir,* Gold,* Mesalamine* Indinavir* Acyclovir* Sulfonamides